Which of the following agents is not used in the treatment of Diabetic Macular Edema/ Retinopathy:
1. Ruboxistaurim
2. Pyridazinones
3. Benfotiamine
4. Tamoxifen

Correct answer: 4. Tamoxifen

Explanation: Ans. Tamoxifen